Foam cells seen in -a)  Alport syndromeb)  Niemann pick diseasec)  Atherosclerosisd)  Pneumonia
1. ab
2. bc
3. abc
4. bcd

Correct answer: 3. abc

Explanation: Foam cells are seen in

Niemann pick disease         
Hypercholesterolemia         
Tangier disease                      
Alport syndrome    
Cholesterosis of gall bladder
Hodgkin disease (nodular sclerosis variant) o Ductal hyperplasia of breast.
Atherosclerosis